ECF is how much part of total body water
1. One third
2. Half
3. Two third
4. None

Correct answer: 1. One third

Explanation: Extracellular fluid is 1/3rd part of total body water . While intracellular fluid Table 1.3.1 (Ref: Textbook of physiology AK Jain 4th edition page no.24)